Potassium channel opener with anti-anginal activity is:
1. Nicorandil
2. Dipyridamole
3. Dofetilide
4. AMIODARONE

Correct answer: 1. Nicorandil

Explanation: Nicorandil opens ATP-dependent K+ channels causing arterial dilatation thus increasing afterload-potassium channel opener-used for angina Amiodarone and dofetilide are potassium channel blockers- class 3 antiarrhythmic agents REF.Essentials of Medical Pharmacology KD Tripathi 8th ed.